Which of the following drug can lead to increased level of Theophylline
1. Rifampicin
2. Phenobarbitone
3. Cimetidine
4. Phenytoin

Correct answer: 3. Cimetidine

Explanation: Cimetidine is an enzyme inhibitor which can increase theophylline levels and lead to toxicity.